Most common presentation of SLE is
1. Arthralgia
2. Erosive polyarthritis
3. Butterfly rash
4. AIHA

Correct answer: 1. Arthralgia

Explanation: Arthritis in SLE Arthralgia is a common symptom, occurring in 90% of patients, and is often associated with early morning stiffness. Tenosynovitis may also occur but clinically apparent synovitis with joint swelling is rare. Joint deformities may arise (Jaccoud's arthropathy) as the result of tendon damage but joint erosions are not a feature. Ref Davidsons 23e p1035